Which of the following cervical joint helps a person to look towards the right or left?
1. Atlanto-occipital joint
2. Atlanto-axial joint
3. C2-C3 joint
4. C3-C4 joint

Correct answer: 2. Atlanto-axial joint

Explanation: The atlantoaxial joint allows the greatest degree of motion among all the joints of the neck. It allows the head to flex and extend about 10 degrees, and also allows more than 60 degree of rotation in the horizontal plane. Thereby permitting a person to look to the right or left. Ref: Atlas of Interventional Pain Management By Steven D. Waldman, 3rd edition, Page 7 ; Understanding Joints: A Practical Guide to Their Structure and Function By Bernard Kingston, Page 36 ; Clinical Anatomy by Region's by Richard's Snell, Page 862, 858